Pressure diuresis is due to
1. Decrease in GFR
2. Increase in peritubular hydrostatic pressure
3. Increase in Aldosterone
4. Increase in angiotensin II

Correct answer: 2. Increase in peritubular hydrostatic pressure

Explanation: As the pressure rises urine volume output is increased. This increased urinary output is the phenomenon of pressure diuresis. When GFR autoregulation is impaired, as often occurs in kidney disease, increases in arterial pressure can cause much larger increases in the GFR. The second effect of increased renal arterial pressure that raises urine output is that it decreases the percentages of the filtered loads of sodium and water that are reabsorbed by the tubules. The mechanisms responsible for this effect include a slight increase in peritubular capillary hydrostatic pressure, especially in the vasa recta of the renal medulla, and a subsequent increase in the renal interstitial fluid hydrostatic pressure. A third factor that contributes to the pressure natriuresis and pressure diuresis mechanisms is reduced angiotensin II formation.